Gonads do not acquire male or female characteristics until
1. 7th week of development
2. 9th week of development
3. 12th week of development
4. 4th week of development

Correct answer: 1. 7th week of development

Explanation: Gonads acquire male or female characteristics only after 6 weeks of development (that is in the 7th week)